Which of the following would be the most appropriate treatment for rehabilitation of a patient who has bilateral profound deafness following surgery for bilateral acoustic schwannoma
1. Bilateral with powered digital hearing aid
2. Bilateral cochlear implants
3. Unilateral cochlear implant
4. Brain stem implant

Correct answer: 4. Brain stem implant

Explanation: Brainstem implants are used when the 8th nerve has been completely severed in surgery during removal of acoustic neuroma. Ref: Textbook of diseases of ENT, PL Dhingra, 7th edition, pg no. 141